Primary sclerosing cholangitis is likely to be associated with -
1. Adenocarcinoma of pancreas
2. Cholangiocarcinoma
3. Hepatocellular carcinoma
4. Adenocarcinoma of gall bladder

Correct answer: 2. Cholangiocarcinoma

Explanation: PSC is a risk factor for cholangiocarcinoma.